Earliest sign of rickets is:
1. Rickety rosary
2. Craniotabes
3. Boe legs
4. Harrison's groove

Correct answer: 2. Craniotabes

Explanation: Ans: bRef: Pedia ghai, 6th ed, p. 128